HDL is specifically increased by
1. Lovastatin
2. Niacin
3. Gemfibrozal
4. Probucol

Correct answer: 2. Niacin

Explanation: Refer kDT 6/e p 618 As a cholesterol treatment, there are goodstudies showing that niacin can boost levels of good HDL cholesterol and lowertriglycerides. Niacin also modestly lowersbad LDL cholesterol. It's often prescribed in combination with statins for cholesterolcontrol, such as Crestor, Lescol, or Lipitor.